Hyaline in islets of Langerhans resemble ?
1. Mucin
2. Amyloid
3. Glycolipid
4. Phospholipid

Correct answer: 2. Amyloid

Explanation: Ans. is 'b' i.e., Amyloid